Ethambutol causes
1. Retro bulbar neuritis
2. Deafness
3. Red urine
4. Peripheral neuritis

Correct answer: 1. Retro bulbar neuritis

Explanation: Refer Katzung 10/e p774 KDT 6/e p 742 Ethambutol causes retobulbar neuritis It can result in red green colour blindness